Resting membrane potential in nerve fibre
1. Is equal to the potential of ventricular muscle fibre
2. Can be measured by surface electrodes
3. Increases as extra cellular K+ increases
4. Depends upon K+ equilibrium

Correct answer: 4. Depends upon K+ equilibrium

Explanation: D i.e. Depends on potassium ion equilibrium